Chloroquine is a weak base that neutralizes acidic organelles. In a pancreatic beta cell, which of the following would be a direct effect of chloroquine treatment?
1. Increase proinsulin content in secretory vesicles
2. Increased release of C peptide
3. Increased number of amylase-containing secretory vesicles
4. Reduced translation of glucagon mRNA

Correct answer: 1. Increase proinsulin content in secretory vesicles

Explanation: Increased proinsulin content in secretory vesicles * Chloroquine neutralizes acidic compartments such as the sectetory vesicles. * Chloroquine treatment inhibits the conversion of proinsulin to insulin, resulting in decreased formation of insulin within secretory vesicles. * Acidification causes concentration of the contents of secretory vesicles, facilitates breakdown of the contents of phagosomes and lysosomes, and is involved in the cleavage of prohormones to their active forms (e.g., proinsulin to insulin).